Which of the following instrument is NOT used in intracapsular extraction of lens
1. Cryo
2. Elschning's forceps
3. Phaco-emulsifire
4. Van-graefe's cataract knife

Correct answer: 3. Phaco-emulsifire

Explanation: C i.e. Phaco-emulsifier Phacoemulsifier which emulsifies lens nucleus & cortical matter by ultrasonic vibration (1 mm titanium needle vibrating 40,000 times/second) is used in phacoemulsification method of ECCE not in ICCE.